All are TRUE about Hereditary Spherocytosis, EXCEPT:
1. Cholesterol gallstones
2. Mild to moderate anemia
3. Normocytic anemia
4. Increase in MCHC

Correct answer: 1. Cholesterol gallstones

Explanation: Increased incidence of gallstones are seen in Hereditary spherocytosis, but they are pigment gallstones. This is almost the only condition where an elevated MCHC is seen. Ref: Harrisons principles of internal medicine, 18th edition, Page :875.